All are true about Typhoid EXCEPT:
1. Incubation period 10 to 14 days
2. Most common among males
3. Carrier are treated by Ampicillin
4. Highest incidence occurs in 30-40 years age group

Correct answer: 4. Highest incidence occurs in 30-40 years age group

Explanation: (Highest incidence occurs in 30-40 years age group) Typhoid Incubation period 10-14 days Typhoid cause a typhoid ulcer, in the lower ileum and the risk of perforation is highest in 3rd week of typhoid fever. If the muscle sheath is intact, sarcolemmal tubes containing histiocytes appear along the endomysial tube which, in about 3 months, restores properly oriented muscle fibres e.g. in Zenker's degeneration of the abdominal musculature in typhoid.